A 52 year–old postmenopausal patient has evidence of low bone mineral density. She and her physician are considering therapy with raloxifene or a combination of conjugated estrogens and medroxyprogesterone acetate. Which of the following patient characteristics is MOST likely to lead them to select raloxifene?
1. Previous hysterectomy
2. Recurrent vaginitis
3. Strong family history of breast cancer
4. Troublesome hot flushes

Correct answer: 3. Strong family history of breast cancer